An agent that activates natural killer cells and is useful in renal cell carcinoma is :
1. Aldesleukin
2. Etanercept
3. Leflunomide
4. Thalidomide

Correct answer: 1. Aldesleukin

Explanation: Recombinant IL-2 (aldesleukin) is used for the treatment of malignant melanoma and renal cell carcinoma.